KF ring is seen in?
1. Wilson s disease
2. Catacract
3. Glaucoma
4. Hemochromatosis

Correct answer: 1. Wilson s disease

Explanation: ANSWER: (A) Wilson's diseaseREF: Harrisons 17th ed chapter 351"KF rings are seen in Wilson's disease"